Chronic desquamative gingivitis most often affects
1. Women compared to men
2. Men compared to women
3. Children compared to adults
4. Infants compared to adults

Correct answer: 1. Women compared to men